A 55-year-old male patient underwent cholecystectomy for Gall stone calculus. During surgery the patient's pulse was irregulary irregular, 160/min, BP = 80/50 mm of Hg, temp. 40degc On examination a swelling in the neck was found. Most likely diagnosis is -
1. Thyroid storm
2. Myocardial infarction
3. Arhmias
4. Stridor

Correct answer: 1. Thyroid storm

Explanation: Ans. is 'a' i.e., Thyroid Storm